Bulls eye retinopathy is seen in toxicity of:
1. Quinine
2. Tobacco
3. Ethanol
4. Chloroquine

Correct answer: 4. Chloroquine

Explanation: Ref: Parson's 21st edition Diseases of the Eye page no:358Kanski: Clinical Ophthalmology; 7th edition, pg no 864Explanation:Chloroquine is a melanotropic drugIt is excreted very slowly from the body & get accumulated in melanin containing structures like RPE & choroidHydroxychloroquine - Less toxicMaximum dosage - Chloroquine - 6mg/kg/dayHydroxychloroquine - 4.5mg/kg/dayOther ocular side effects:vortex keratopathy - reversibleAnterior capsular cataract,Optic neuropathyOther causes of Bull's Eye MaeulopathyCone dystrophyCone rod dystrophyInverse retinitis pigmentosaStargardt 's disease